A 22 year old male presents with acute right lower quadrant pain in abdomen. Suspecting appendicitis a USG is done but it is equivocal. Next investigation would be-
1. CT Scan
2. Palin Xray
3. Serum ESR
4. MRI Abdomen

Correct answer: 1. CT Scan

Explanation: Ans. is 'a' i.e., CT Scan o Diagnosis of appendicitis is primarily clinical, assisted by blood counts. Ultrasound and CT can be utilized to make the diagnosis in equivocal cases.o Has been explained in previous sessions